Clonidine is used for:
1. Migraine
2. Opioid withdrawal syndrome
3. Diabetic diarrhea
4. All of the above

Correct answer: 4. All of the above

Explanation: ref;KD Tripathi 7the edition pharmacology (page no;565,567) Clonidine is an imidazoline derivative and agonist for a2 receptors, especially a2A subtype the in brainstem. uses : Opioid withdrawal, Alcohol withdrawal, Postoperative analgesia, Control loose motion due to Diabetec neuropathy, Migraine, hypertension (nowadays not used due to withdrawal hypertension), post menopausal hot flushes